Vitamin B12 is absorbed in the
1. Stomach
2. Duodenum
3. Ileum
4. Colon

Correct answer: 3. Ileum

Explanation: C i.e. Ileum